All of the following statements about carbohydrate antigen are true except -
1. It has lower immunogenicity
2. Memory response is seen
3. Cause polyclonal B cell stimulation
4. Does not require stimulation by T cells

Correct answer: 2. Memory response is seen

Explanation: 1. T-independent antigen: are LPS (gram negative bacteria), capsular polysaccharides(carbohydrate), flagella These antigens directly stimulate B-cells (Activate B-cells polyclonally) without processing by antigen presenting cells and their immune response does not require activation of T-cells so there is no memory response. 3. Antibody response is restricted to IgM and IgG3. 4.immunogenicity:-protein>carohydrate>lipid>nucleic acid 5. Chains of single amino acids or single sugars are poorly immunogenic, but if different amino acids or sugars are combined in the same molecule, the immunogenicity is greatly enhanced.